Inhibition of which of the following enzyme is responsible for the anticancer action of 5-Fluorouracil ?
1. Dihydrofolate reductase
2. Thymidylate kinase
3. Thymidylate reductase
4. Thymidylate synthase

Correct answer: 4. Thymidylate synthase

Explanation: Drugs Inhibitor of 5-Fluorouracil thymidylate synthase(Suicidal inhibition) Methotrexate Dihydrofolate reductase Acyclovir thymidylate kinase